Estimation of percentage of children immunized in community as per WHO is to be done by:
1. Multistage random sampling
2. Cluster random
3. Systematic random sampling
4. All of the above

Correct answer: 2. Cluster random

Explanation: WHO recommends cluster random sampling (CRS) to estimate the percentage of children immunized in the community, particularly in developing nations. Their recommended strategy is 30x7 sampling. Ref: Medical biostatistics, 1st edition pg: 201